A 40 year old man presents to his physician with complaints of substernal pain radiating to his left shoulder, occurring when he is at rest. The pain improves when he gets up and moves around, and responds to sublingual nitroglycerin. This patient's symptoms are thought to be caused by which of the following processes?
1. Coronary artery atherosclerosis
2. Coronary artery embolism
3. Coronary artery spasm
4. Coronary artery thrombosis

Correct answer: 3. Coronary artery spasm

Explanation: The pattern of angina described is called Prinzmetal's variant angina, and is believed to be due to coronary artery spasm occurring during rest. Up to 75% of patients with this disorder can be shown to have a fixed obstruction within 1 cm of the site of arterial spasm. Patients with Prinzmetal's angina are often younger than patients with unstable angina secondary to coronary atherosclerosis. The diagnosis may be confirmed by observing a spontaneous coronary artery spasm (or provoking one by administering ergonovine or acetylcholine, or instructing the patient to hyperventilate) during angiography. Atherosclerosis is the cause of typical angina that occurs with exertion. Embolism in the coronary arteries is somewhat unusual, but can occur if a plaque from the aorta breaks off and lodges in a coronary vessel. Thrombosis characteristically produces unstable or crescendo angina with worsening chest pain. Ref: Mohrman D.E., Heller L.J. (2010). Chapter 11. Cardiovascular Function in Pathological Situations. In D.E. Mohrman, L.J. Heller (Eds), Cardiovascular Physiology, 7e.